An elderly male presents with one episode of gross haematuria. All of the following investigations are recommended for invastigating this patient except
1. Cystoscopy
2. Urine microscopy for malignant cells
3. Urine tumor markers
4. Intravenous pyelogram

Correct answer: 3. Urine tumor markers

Explanation: Elderly male with gross hematuria the provisional diagnosis is ca urinary bladder . Investigations in a case of urinary bladder ca .1) urine cytology - this is not a good screening test but a positive result is highly specific and is more useful with highgrade disease and CIS . New tests based on nuclear matrix proteins ( NMP22 ) or mini microsome maintainance proteins ( MCM ) or epigenetic events are under evaluation and not routinely used . 2) Blood - HB , electrolytes , urea 3) CT ,MRI ,IVU , USG -should be done in all patients 4) cystourethroscopy is the mainstay of evaluation ( Bailey and Love 27th edition chapter 77 .pg no. 1449 .)